Extrahepatic Manifestations of Hepatitis B include all of the following Except
1. Aplastic Anemia
2. Gullian Barre syndrome
3. Pancreatitis
4. Gall stone disease

Correct answer: 4. Gall stone disease

Explanation: Answer is D (Gall stone disease) Gallstone disease has not been mentioned in the list for extrahepatic manifestations of Hepatitis B Extrahepatic manifestations in viral hepatitis B: Aplastic Anemia Cryoglobulinaemia Diabetes mellitus Dermatomyositis-like syndrome Gianotti- Crosti syndrome Glomerulonephritis Gui!lain- Barre syndrome Myasthenia gravis Pericarditis and myocarditis Pancreatitis Peripheral Neuropathy Polyarleritis Nodosa Polyarthritis Polymyalgia rheumatica Polymyositis Porphyria cutanea tarda Psychosis Raynaud's syndrome Serum sickness like illness Splenomegaly and lymph node enlargement Skin alterations Thrombopenic. purpura Thyroiditis Urticaria